The polysaccharide used in assessing the glomerular filtration rate (GFR) is:
1. Glycogen
2. Agar
3. Inulin
4. Hyaluronic acid

Correct answer: 3. Inulin

Explanation: Ans. C. InulinInulin is a fructosan, isolated from root tubers of Dahlia. It is used for assessing GFR. The test is known as Inulin Clearance test.